Features of alcohol withdrawl are all except
1. Features of alcohol withdrawl are all except
2. Restlessness
3. Hypersomnolence
4. Hallucination

Correct answer: 3. Hypersomnolence

Explanation: C i.e. HypersomnolenceEarliest and most common feature of alcohol withdrawl is acute tremulousness (the shakes/tremors/jitters)Q affecting hands, legs & trunk (oxford). Most common withdrawl syndrome is hangover on the next morning Ahuja-41). Classical sign of alcohol withdrawl is tremmerlousness (Kaplan)- Hypersomnia with vivid unpleasant dreams is a feature of cocaine withdrawlQ; and insomnia is seen in alcohol withdrawl and opioid withdrawl (with yawningQ)